Apexification is the treatment of choice for a permanent
tooth with wide open apex when
1. The pulp is necrotic
2. The pulp is vital
3. The pulp and root canals are calcified
4. There is a traumatic pulp exposure during cavity preparation

Correct answer: 1. The pulp is necrotic